A 12-year-old child presented with a maxillary mass which on further investigation showed the presence of "starry sky appearance" in the biopsy. All of the following statements are true except:
1. This condition is due to c-Myc gene activation
2. This is non-Hodgkin lymphoma
3. Burkitt lymphoma
4. More commonly seen in adults

Correct answer: 4. More commonly seen in adults

Explanation: Ans. (d) More commonly seen in adults.Note-common in african childrenImage source- style="font-family: Times New Roman, Times, serif">